A 40 yr female with abnormal cervical cytology, pap smear suggestive of CIN 3, next step in management is -
1. Test for HPV and follow up after 3 months
2. Colposcopy and biopsy
3. Hysterectomy
4. Surgery with adjuvant chemoradiation

Correct answer: 2. Colposcopy and biopsy

Explanation: Ans. is 'b' i.e., Colposcopy and biopsy o CIN III lesion needs colposcopy and biopsy to rule out invasive lesion.